Basic function of hemoglobin is -
1. Increased O2 delivery in lung and uptake at tissue
2. Increased O2 delivery at tissue and uptake in lung
3. Increased CO2 delivery- at tissue and uptake in lung
4. None of the above

Correct answer: 2. Increased O2 delivery at tissue and uptake in lung

Explanation: Ans is 'b' i.e., Increased O2 delivery at tissue and uptake in lung o The primary function of hemoglobin is to transport oxygen from lungs to tissue,o In lungs, oxygen diffuses into the blood and combines with hemoglobin.o Oxygen, then, is transported to the tissue, mainly in combination with hemoglobin (as oxyhemoglobin),o At tissue levels, due to high H" concentration, there is rightward shift of oxygen dissociation curve and O2 is delivered to the tissue.